Extension of enamel cord to meet the outer enamel epithelium is known as:
1. Enamel knot.
2. Enamel cord.
3. Enamel septum.
4. Enamel navel.

Correct answer: 3. Enamel septum.